For the following statements, select whether it is applicable to any or all of the below medications.Inhibition of angiotensin converting enzyme I (ACE I)
1. hydralazine
2. enalapril
3. spironolactone
4. metoprolol

Correct answer: 2. enalapril

Explanation: Enalapril may exert its effect by inhibiting formation of angiotensin II. This lowers systemic vascular resistance. In addition, ACE inhibitors have a natriuretic effect by inhibition of aldosterone secretion. They have been shown to improve mortality and decrease hospitalization in patients with CHF.